Sustained diarrhea can lead to:
1. Metabolic acidosis
2. Metabolic alkalosis
3. Respiratory alkalosis
4. Respiratory acidosis

Correct answer: 1. Metabolic acidosis